Full blown immunodeficiency syndrome ,is characterized by -
1. High viral titres with low CD4 count
2. Low viral titres with low CD4 count ,
3. High viral titres with high CD4 count
4. High CD4 and high CD8

Correct answer: 1. High viral titres with low CD4 count